Child with Type 1 Diabetes. What is the advised time for fundus examinations from the time of diagnosis ?
1. After 5 years
2. After 2 years
3. After 10 years
4. At the time of diagnosis

Correct answer: 1. After 5 years

Explanation: Screening for type 1 DM (Juvenile onset/IDDM) → 5 years after the diagnosis.
Screening for type 2 DM (Maturity onset/NIDDM) → At the time of diagnosis.